According spaulding classification system of sterilization, following is true except ?
1. "Non-critical devices" come into contact with intact skin
2. Semicritical equipment need low-level sterilization
3. "Semi-critical devices" come into contact with non-sterile mucous membranes or non-intact skin
4. Cardiac catheter is critical equipment

Correct answer: 2. Semicritical equipment need low-level sterilization

Explanation: Ans. is 'b' i.e., Semicritical equipments need low-level sterilization Spaulding system of sterilization Spaulding system is a strategy for reprocessing contaminated medical devices. The system classifies medical devies as critical, semicritical or noncritical based on the risk of contamination on a device to patient safety. The system also establishes three levels of germicidal activity (high, intermediate, and low) for disinfection strategies with the three classes of medical devices. Class Definition & example Level of disinfection * Critical equipment/device * Equipment/device that enters sterile body tissues * Sterilization * Examples : - Surgical instruments, Resection handle, endoscopes that * Sterilization results in the destru? ction of all forms of microbial life enter sterile body cavities including spores, bacteria, viruses (Laproscopes, arthroscopes), cardiac catheters, colposcopes. & fungi * Semicritical equipment/ * Equipment/device that comes in * High level disinfection (HLD) device contact with non-intact skin or * High level disinfection destroys mucous membranes but do not vegetative bacteria, fungi, viruses penetrate them * It does not destroy bacterial spores * Examples : - Laryngoscopes, vaginal * High level of disinfection can be speculum, gastroscope, colonoscope, bronchoscopes, USG probe, anesthesia done by 2% glutaraldehyde, 6% H202, Pasteurization, 0.2% equipment, ear cleaning equipment. Peracetic acid * Noncritical/equipment/ * Equipment/device that touches only * Low or intermediate level disinfection device intact skin and not mucous membranes * Kill most vegetative bacteria and Examples : - Stethoscopes, ECG some fungi as well as enveloped electrodes, Blood pressure cuffs, electronic thermameters, environmental (lipid) viruses * Does not kill mycobacterial or surfaces bacterial spores * Low level disinfection can be done by 3% H20,, 60-95% alcohol, hypochlorite, or iodophors